Which of the following anaesthetic agent is used for day care surgery?
1. Thiopentone
2. Propofol
3. Etomidate
4. Ketamine

Correct answer: 2. Propofol

Explanation: PROPOFOL: Drug of choice for Day care surgery Other Drugs used for day care surgery M-Midazolam D-Desflurane Is-Isoflurane S-Sevoflurane P-Propofol A-Alfentanil M-Mivacurium